Nephelometry is a technique used in the measurement of:
1. Refraction of light
2. Immunoglobulins
3. Size of renal stones
4. Optical density of fluids

Correct answer: 2. Immunoglobulins

Explanation: Ref: InternetExplanation:Nephelometry is a technique used in immunology to determine levels of the antibodies Immunoglobulin M, Immunoglobulin G, and Immunoglobulin A.It is performed by measuring the turbidity in a water sample by passing lightIn nephelometry the measurement is made by measuring the light passed through a sample at an angle.This technique is widely used in clinical laboratories because it is relatively easily automated.It is based on the principle that a dilute suspension of small particles will scatter light (usually a laser) passed through it rather than simply absorbing it.The amount of scatter is determined by collecting the light at an angle (usually at 30 and 90 degrees).